Herpes virus involves which lobe?
1. Frontal
2. Parietal
3. Temporal
4. Occipital

Correct answer: 3. Temporal

Explanation: The clinical hallmark of HSV encephalitis has been the acute onset of fever and focal neurologic symptoms and signs, especially in the temporal lobe . Ref Harrison20th edition pg 979 Clinical differentiation of HSV encephalitis from other viral encephalitides, focal infections, or noninfectious processes is difficult. While brain biopsy has been the gold standard for defining HSV encephalitis, a highly sensitive and specific PCR for detection of HSV DNA in CSF has largely replaced biopsy for defining CNS infection. (Harrison's Principles of internal medicine, 18 th edition, page 1457)